Not a cause of community acquired pneumonia -
1. Acinetobacter baumanii
2. Hemophilus influenza
3. Streptococcus penumoniae
4. Mycoplasma pneumoniae

Correct answer: 1. Acinetobacter baumanii

Explanation: Community acquired pneumonia is caused by bacteria like Streptococcus pneumoniae(most common),Mycoplasma pneumoniae(more common in young),Legionella pneumoniae,Chlamydia pneumoniae,Haemophilus infuenzae(more common in elderly),Staphylococcus aureus,Chlamydia psittaci,Coxiella Burnetii,Klebsiella pneumoniae,Actinomyces israelii.Viruses causing CAP include influenza,parainfluenza,measles,herpes simplex,adenovirus,cytomegalovirus, coronavirus. Reference:Davidson's Medicine-22nd edition,page no:683. .